Late complication of elbow dislocation-
1. Median nerve injury
2. Brachial artery injury
3. Myositis ossificans
4. All of the above

Correct answer: 3. Myositis ossificans

Explanation: Ans. is 'c' i.e., Myositis ossificans Dislocation of elbow Dislocation of the elbow is usually caused by a heavy fall onto the outstretched hand. The dislocation is nearly always posterior or posterolatera4 i.e., radius & ulna are displaced backward or backward & laterally, relative to humerus. There may be an associated fracture of the coronoid process of the ulna, or of the radial head, capitulum or medial epicondyle. Clinical presentation Severe pain in elbow with gross restriction of movement. Bowstring sign or Bowstringing of triceps : - Triceps tendon becomes prominent. The three bony point relationship is reversed and olecranon is above the intercondylar line. Elbow is flexed, with an exaggerated prominence of lecranon. Treatment Closed reduction under anaesthesia followed by immobilization in above elbow slab in 90deg of flexion for 3 weeks is the treatment of choice. If closed reduction is failed, open reduction is indicated. Complications Complications are common and may be divided into early and late :? 1. Early complications Vascular injury :- Brachial artery may injured. It may result in compartment syndrome and Volkmann's ischemic contracture. Nerve injury :- Median and ulnar nerve injury 2. Late complications Stiffness Myositis ossificans Unreduced dislocation Recurrent dislocation